Psoralen–A is used in the treatment of –
1. Pemphigus
2. Vitiligo
3. Pityriasis alba
4. Icthyosis

Correct answer: 2. Vitiligo